The ‘v’ wave of venous waveform represents
1. Ventricular systole
2. Ventricular diastole
3. Atrial systole
4. None of the above

Correct answer: 1. Ventricular systole

Explanation: The v wave represents atrial filling (atrial diastole) and occurs during ventricular systole. The height of the v wave is determined by right atrial compliance as well as the volume of blood returning to the right atrium either antegrade from the cavae or retrograde through an incompetent tricuspid valve.